Which is not true about thoracic outlet syndrome?
1. Radial nerve is commonly affected
2. Neurological features are most common
3. Resection of 1st rib relieves symptom
4. Positive Adson's test

Correct answer: 1. Radial nerve is commonly affected

Explanation: Thoracic outlet syndrome: Name is a misnomer - should be Thoracic Inlet Syndrome Any tumor/trauma that compresses the subclavian vessels and brachial plexus MC root involved in brachial Plexus compression : C8,T1;Ulnar nerve - Neurological feature - Conservative Management Surgical Intervention is done if vascular symptoms of compression present. Cervical Rib / 1st Rib is resected to relieve Thoracic Outlet Syndrome. No predisposing factors but common in middle aged women with atrophy of shoulder girdle muscles - diagnostic provocative tests: Adson's Test Costoclavicular test Hyper-Abduction Test Roos Test